Which of the following secrete surfactant:
1. Type II Pneumocyte
2. Type I Pneumocyte
3. Goblet cells
4. Paneth cells

Correct answer: 1. Type II Pneumocyte

Explanation: Ans. A. Type II PneumocyteSurfactant is made up of PHOSPHOLIPID- DI-PALMITOIL-PHOPHATIDYL-CHOLINE (DPPC) + two major proteins having molecular weights of 32,000 and 10,000. It is secreted by TYPE II ALVEOLAR EPITHELIAL CELLS (type II Pneumocyte)